Which of the following is not a SNRI
1. Venlafaxine
2. Duloxetine
3. Milnacipram
4. Bupropion

Correct answer: 4. Bupropion

Explanation: Bupropion is NDRI (Norepinephrine Dopamine Reuptake Inhibitor) used as antismoking drug.